After parotidectomy, numbness on the during shaving is due to damage of:
1. Auriculotemporal nerve
2. Facial nerve
3. Mandibular nerve
4. Greater auricular nerve

Correct answer: 4. Greater auricular nerve

Explanation: Complications of Parotidectomy: Hematoma Infection Deformity Temporary / permanent facial weakness - d/t facial Nerve resection Facial numbness Sialocele Permanent numbness of the ear lobe - due to Great Auricular nerve transection - Sensory abnormality Frey's Syndrome/Gustatory sweating/ Auriculo temporal syndrome.